Which of the following is beneficial for patient suffering from gyrate atrophy of choroid due to deficiency of enzyme Ornithine trans carbomylase
1. Ornithine free diet
2. Arginine free diet
3. Folic acid & pyridoxine
4. Angiod Streaks

Correct answer: 2. Arginine free diet

Explanation: B i.e. Arginine free diet Gyrate atrophy of choroid due to deficiency of ornithine amino transferase (OAT) enzyme is treated by arginine free diet (treatment of choice) and vitamin B6 (pyridoxine) supplementationQ.